Pseudopterigium is not seen in?
1. Eye surgery
2. Injury of eye
3. Chemical injury of eye
4. Astigmatism

Correct answer: 4. Astigmatism

Explanation: ANSWER: (D) AstigmatismREF: Smolin and Thoft s The Cornea: Scientific Foundations and Clinical Practice 4th ed page 1005A pseudopterygium is a fibrovascular ring that arises in bulbar conjunctiva and goes on the cornea involving a chemotic conjuctival foldEtiology: inflammatory conditions likeChemical burnsTrauma epithelial defects (Eye surgery, Injury)Cicatricial conjunctivitisPeripheral comeal ulcerationHard contact lens PterygiumPseudopterygiumEtiologyDegenerative conditionInflammatory conditionSiteSeen usually on nasal or temporal sideCan occur any where in conjunctivaAge> 40 yearsAny ageStatusStationary to progressiveStationaryProbe testGlass rod or probe cant be passed underneathCan be passed